Sickle cell disease true is -a) Mutation in α chainb) Symptoms ameliorated by HbFc) Venoocclusive crises is cause of morbidityd) Bone pain is presenting feature
1. abc
2. bcd
3. ac
4. bd

Correct answer: 2. bcd